Which of the following protease inhibitor has active metabolite?
1. Ritonavir
2. Indinavir
3. Nelfinavir
4. Saquinavir

Correct answer: 3. Nelfinavir

Explanation: Nelfinavir has active metabolite and the only known active metabolite of any HIV protease inhibitor. Nelfinavir Undergoes oxidative metabolism primarily by CYP2C19 but also by CYP3A4 and CYP2D6. Its major hydroxy-tbutylamide metabolite, M8, is formed by CYP2C19 and has in vitro. Antiretroviral activity similar to that of the parent drug. This is the only known active metabolite of any HIV protease inhibitor. Nelfinavir induces its own metabolism.